A chronic alcoholic presented to the casualty with altered sensorium. His blood sugar level was normal. Which of the following is the treatment to be given -
1. Inj . Vitamin B1
2. IV dextrose 5%
3. IV dextrose 50%
4. IV Normal saline

Correct answer: 1. Inj . Vitamin B1